All of the following malignancies present with osteoblastic secondaries, except
1. Multiple myeloma
2. Ca prostate
3. Ca breast
4. Carcinoid tumor

Correct answer: 1. Multiple myeloma

Explanation: Multiple myeloma commonly presents as multiple osteolytic lesions in older patients and may simulate metastatic cacinoma. Carcinomas which present with osteoblastic secondaries are prostate carcinoma, breast carcinoma, seminoma, neurogenic tumors and carcinoid. Reference: Bone and Soft Tissue Pathology By Andrew L. Folpe, page 452.